Drugs used to control post–operative vomitinga) Diazepamb) Phenobarbitonec) Aprepitantd) Droperidole) Ondansetron
1. acde
2. bde
3. abcd
4. abde

Correct answer: 1. acde

Explanation: Drugs used in PONY

For prevention :- Propofol, droperidol, metoclopramide, ondansetron.
For control (Treatment) :- Anticholinergics (Hyoscine), H1 antihistaminics (Promethazine), Neuroleptics (Droperidole), Prokinetics (Metoclopramide, domperidone, cisapride), 5-HT3 antagonists (ondansetron), SPA (Apretitant), Adjuvants (Dexamethasone, BZDs, Cannabinoids, Clonidine & ephedrine).